Which wall of heart is enlarged first in a patient with mitral stenosis ?
1. Left atrium
2. Right atrium
3. Left ventricle
4. Right ventricle

Correct answer: 1. Left atrium

Explanation: Wall of heart enlarged in mitral stenosis - left atria